Which of the following is the peculiar feature of Pierre Robin sequence:
1. V shaped cleft palate.
2. U shaped cleft palate.
3. L shaped cleft palate.
4. Absence of cleft palate.

Correct answer: 2. U shaped cleft palate.